The following antibiotic accentuates the neuromuscular blockade produced by pancuronium
1. Streptomycin
2. Penicillin
3. Chloramphenicol
4. Erythromycin

Correct answer: 1. Streptomycin

Explanation: DRUG INTERACTIONS Antibiotics:- Aminoglycoside antibiotics (streptomycin) reduce Ach release from prejunctional nerve endings by competing with Ca2+. They interfere with mobilization of ACh containing vesicles from a central location to near the terminal membrane, and have a weak stabilizing action on the postjunctional membrane. In clinically used doses, they do not by themselves produce muscle relaxation, but potentiate competitive blockers. Tetracyclines (by chelating Ca2+), polypeptide antibiotics, clindamycin and lincomycin also synergise with competitive blockers. Ref:- kd tripathi; pg num:-354